All is true about testicular tumours except -
1. Seminoma is the most common testicular turnout
2. Lymphoma may be seen in the testes
3. Choriocarcinoma is not a germ cell tumour
4. Embryonal carcinoma is a non seminomatous germ cell tumour

Correct answer: 3. Choriocarcinoma is not a germ cell tumour

Explanation: Ans. is 'c' i.e., Choriocarcinoma is not a germ cell tumour o Testicular tumors are divided into two major categories : (i) Germ cell tumors, and (ii) Sex cord tumors.A) Germ cell tumors# More than 95% of testicular tumors are germ cell tumors. They are further divided into -i) Seminomao It is the most common germ cell tumor of testis. Female counterpart of seminoma is dysgerminoma of ovary.ii) Non-seminoma germ cell tumors (NSGCT)o These are spermatocytic seminoma, embryonal carcinoma, Yolk sac tumor (also called endodermal sinus tumor or infantile embryonal carcinoma), teratoma, and choriocarcinoma.# Risk factors for germ cell tumors of testis are -i) Cryptorchidism (abdominal > inguinal, i.e. higher the undescended testis more the chances of malignancy).ii) Testicular feminization syndrome and Klinefelter syndrome.iii) Excess 12P copy number either in the term of i(12P) or increased 12P an aberranthy banded marker chromosome.B) Non-germ cell tumors (sex cord tumors)# These are leydig cell tumor and sertoli cell tumor.# Leydig (interstitial) cell tumors are positive for Reinke crystalloids.